Sanguinarine is derived from -
1. Fusorium incamatum
2. Argemone oil
3. Jhumjhujia seeds
4. Khesari-dhal

Correct answer: 2. Argemone oil

Explanation: Sanguinarine is a toxic alkaloid isolated from argemone oilREF.PARK'S TEXTBOOK OF PREVENTIVE AND SOCIAL MEDICINE.Editon-21.Page no.-608.